Index of potency of general anesthesia
1. Minimum alveolar concentration
2. Diffusion coefficient
3. Dead space concentration
4. Alveolar blood concentration

Correct answer: 1. Minimum alveolar concentration

Explanation: Minimal alveolar concentrationIt is the lowest concentration of the anaesthetic in pulmonary alveoli needed to produce immobility in response to a painful stimulus (surgical incision) in 50% individualsIt is the measure of potency of inhalation Gas.(Refer: Morgan and Mikhail's Clinical Anaesthesiology, 5th edition, pg no. 162 - 163)